Disease which increases oral melanin pigmentation:
1. addison's disease
2. Hyperthyroidism
3. Nephritis
4. All of the above

Correct answer: 1. addison's disease